A patient present with lower gastrointestinal bleed. Sigmoidoscopy shows ulcers in the sigmoid. Biopsy from this area shows flask-shaped ulcers. Which of to following is the most appropriate treatment -
1. Intravenous ceftriaxone
2. Intravenous metronidazole
3. Intravenous steroids and sulphasalazine
4. Hydrocortisone enemas

Correct answer: 2. Intravenous metronidazole